Human beings, during synthesis of fatty acids cannot introduce double bonds beyond the position:
1. 4
2. 7
3. 9
4. 11

Correct answer: 3. 9

Explanation: Higher animals have d4, d5, d6, and d9 desaturases but cannot insert new double bonds beyond the 9 position of fatty acids. Thus, the essential fatty acids linoleic (6) and -linolenic (3) must be obtained from the diet. Ref: Harper 28thedition, chapter 23.